False about CSF is
1. Total volume 125-150ml
2. Rate of formation 500ml/day
3. Absorbed through arachnoid villi
4. Major source is arachnoid granulations in superior sagittal sinus

Correct answer: 4. Major source is arachnoid granulations in superior sagittal sinus

Explanation: Major source- Choroidal plexus of all 4 ventricles, also from ependymal cells of ventricles and brain.Absorbed through arachnoid villi and arachnoid granulations into subdural sinuses, maximum in the superior sagittal sinus